A 45 years male presented with chief complaints of abdominal pain with associated nausea, diarrhea, fatigue, abdominal discomfort, anorexia, weight loss, diarrhea, and jaundice. On imaging of the liver with ultrasound, it shows intra- and extra- hepatic dilatation and strictures with intraductal pigmented stones,What can be the causative agent?
1. Clonorchis sinensis
2. Enterobius ( Pin worm)
3. Strongyloides stercoralis
4. Ancylostoma duodenale

Correct answer: 1. Clonorchis sinensis

Explanation: Parasites which can cause biliary obstruction: Cestodes??" Echinococcus granulosus Trematodes??" Fasciola hepatica, Opisthorchis, Clonorchis sinensis(oriental / chinese liver fluke) Nematodes??" Ascaris lumbricoides